Commonest cause of pulmonary embolism is:
1. Fat
2. Amniotic fluid
3. Thrombus
4. Air

Correct answer: 3. Thrombus

Explanation: Ans. Thrombus